The term erythroderma is applied when any inflammatory skin disease affects more than ___ of body surface area
1. 70%
2. 80%
3. 90%
4. 100%

Correct answer: 3. 90%

Explanation: Erythroderma is involvement of more than 90% of skin in any disorder.